Northern blot test is used for?
1. DNA analysis
2. RNA analysis
3. Analysis of proteins
4. Enzyme analysis

Correct answer: 2. RNA analysis

Explanation: The northern blot is used to demonstrate specific RNA. The total RNA is isolated from the cell, electrophoresed and then blotted to a membrane. This is then probed with radioactive cDNA. There will be RNA-DNA hybridization, if the specific RNA is present in the cell. For DNA analysis southern blot technique is used, western blot analysis is used to identify proteins.Also Know:A fourth hybridization technique, the Southwesternblot, examines protein-DNA interactions. In this method, proteins are separated by electrophoresis, blotted to a membrane, renatured, and analyzed for an interaction with a particular sequence by incubation with a specific labeled nucleic acid probe. Ref: Weil P. (2011). Chapter 39. Molecular Genetics, Recombinant DNA, & Genomic Technology. In D.A. Bender, K.M. Botham, P.A. Weil, P.J. Kennelly, R.K. Murray, V.W. Rodwell (Eds), Harper's Illustrated Biochemistry, 29e.